Maximum first pass metaboilsm is seen by which route -
1. Intravenous
2. Interaaerial
3. Rectal
4. Oral

Correct answer: 4. Oral

Explanation: Ans. is 'd' i.e., Oral o First pass elimination is seen with oral and rectal routes. o Maximum first pass effect is seen with oral route.